Which organism cannot be cultured in cell free media -a) Klebsiella rhinoscleromatisb) Klebsiella ozaenaec) Treponema pallidumd) Pnemocystis jirovecie) Rhinosporidium seeberi
1. abd
2. cde
3. bde
4. ade

Correct answer: 2. cde

Explanation: Treponema pallidum is an abligate intracellular organism. Thus it cannot be cultivated in cell free medium.
Pneumocystis Jiroveci and Rhinosporidium seeberi can not be cultivated.